Stapedius muscle is supplied by.....nerve:
1. Facial
2. Vagus
3. Glossopharyngeal
4. Trochlear

Correct answer: 1. Facial

Explanation: A i.e. Facial nerve